Capsaicin acts on ______
1. Vanilloid receptor
2. Capsaicoid receptor
3. AMPA receptor
4. NMDA receptor

Correct answer: 1. Vanilloid receptor

Explanation: Vanilloid receptor is a nociceptor. Capsaicin binds to Vanilloid receptor.